Among the following, which of the following is/are the greatest contributors to global warming as a consequence of human activities and life style ?
1. Carbon dioxide
2. Chlorofluorocarbons
3. Methane
4. Ozone

Correct answer: 1. Carbon dioxide

Explanation: Carbon dioxide is not commonly regarded as an air pollutant it is a natural constituent of air. It does not take part in any significant chemical reactions with other substances in the air However, it could increase global temperature enough to affect climate markedly